All of the following conditions are indications for splenectomy, EXCEPT:
1. Agranulocytosis
2. Sickle cell anemia
3. Hereditary spherocytosis
4. Splenic abscess

Correct answer: 1. Agranulocytosis

Explanation: Conditions where splenectomy is not indicated: Asymptomatic hypersplenism Splenomegaly with infection Splenomegaly associated with elevated IgM Hereditary hemolytic anemia of moderate degree Acute leukemia Agranulocytosis Conditions where splenectomy usually indicated: Primary hypersplenism Chronic immune thrombocytopenic purpura Splenic vein thrombosis causing gastric varices Splenic abscess Hereditary spherocytosis (congenital hemolytic anemia) Ref: Fraker D.L. (2010). Chapter 27. Spleen. In G.M. Dohey (Ed), CURRENT Diagnosis & Treatment: Surgery, 13e.